Severe Acute respiratory syndrome is caused by?
1. H1N1
2. RSV
3. Parainfluenza virus
4. Corona virus type

Correct answer: 4. Corona virus type

Explanation: Ans. d. Corona virus typeCORONA VIRUSEnveloped, helicalPositive-sense ssRNAHemagglutinin molecules make up peplomers on virus surface, which give shape like sun with corona.Medical importance: "Common cold," SARS, MERSSARS-COVReservoir: birds and small mammals (civet cats)Transmission: respiratory droplets; virus also found in urine, sweat, and feces; original case is thought to have jumped from animal to humanDisease:Severe acute respiratory syndrome (SARS)Atypical pneumoniaClinical case definition includes fever of >38.0C(100.4F), flu-like illness, dry cough, dyspnea, and progressive hypoxiaChest x-ray may show patchy distribution of focal interstitial infiltratesDiagnosisIncludes clinical presentation and prior history of travel to endemic area or an association with someone who recently traveled to endemic areaLab tests: detection of antibodies to SARS-CoV, RT-PCR, and isolation of the virus in cultureTreatment: supportive; ribavirin and interferon are promisingMERS-CoV (Middle Eastern Respiratory Syndrome)Reservoir: bats and camelsDisease and transmission: similar to SARS